Maximum extrapyramidal side-effect is seen with:
1. Haloperidol
2. Chlorpromazine
3. Imipramine
4. Clomipramine

Correct answer: 1. Haloperidol

Explanation: Ans. A. HaloperidolTypical antipsychotic drugs are known to cause extrapyramidal side effects. They block D2 receptors. They are of two types: high potency and low potency. High potency drugs like haloperidol are known to cause maximum EPS. Low potency drugs like chlorpromazine have alpha blocking properties and show anticholinergic side effects.